Which of the following is most ideal when sealing a vessel?
1. Continuous low-voltage waveforms
2. Continuous high-voltage waveforms
3. Intermittent low-voltage waveforms
4. Intermittent high-voltage waveforms

Correct answer: 1. Continuous low-voltage waveforms

Explanation: Use of a continuous low-voltage waveform is the most effective means of sealing a blood vessel. Continuous low- voltage wavelengths apply a consistent amount of energy, which causes dessication and protein denaturation without vaporization. Incomparison high voltage waveform will generate more heat leading to to increased thermal spread thus may lead to collateral tissue damage